Internal carotid artery crosses
1. Sigmoid sinus
2. Straight sinus
3. Cavernous sinus
4. Saggital sinus

Correct answer: 3. Cavernous sinus

Explanation: Inside the middle cranial fossa, it first runs forwards along the floor and medial wall of the cavernous sinus and then turns upwards on the medial side of the anterior clinoid process.(Ref: Vishram Singh textbook of clinical neuroanatomy second edition pg 175)